HLA B27 is NOT seen in
1. Ankylosing spondylitis
2. Reiter's syndrome
3. Rheumatoid arthritis
4. Psoriatic arthritis

Correct answer: 3. Rheumatoid arthritis

Explanation: Seronegative spondyloarthropathies PAIR Psoriatic arthritis Ankylosing spondylitis Inflammatory bowel disease Reactive arthritis (Reiter's syndrome) Features Absence of serum autoantibodies Associated with HLA B27 Onset before 40 years Presence of uveitis, spine/large joint peripheral arthritis